Fibronectin is used in periodontal therapy as
1. Growth factor
2. Bone graft
3. Biomodification of root surface
4. GTR membrane

Correct answer: 3. Biomodification of root surface